All are major calcium binding proteins except
1. Troponin
2. Calmodulin
3. Actinin
4. Calcineurium

Correct answer: 3. Actinin

Explanation: Troponin helps in contraction of muscle .calmodulin helps in activalting enzymes and calcinuerium helps in inactivation of calcium channels